Noble laurate among the following
1. Banker's
2. Willium halsted
3. Turek
4. Theodor kocher

Correct answer: 4. Theodor kocher

Explanation: (Theodor kocher) (Internet)Theodor kocher was the first Nobel prize winner in the surgical speciality in 1909 for this work in surgery of the thyroid glandWillian Stewart Halsted* In 1882 Halsted was researching breast cancer a disorder that was becoming better understood by the time. He decided that the best way to prevent the spread of the cancerous cells was to simply remove them surgically known as radical mastectomy*** Between 1883 and 1886 Halsted published many papers on* Usuage of blood transfusion during surgery* Injection of a saline solution in to the blood to dilute it can treat shock* In 1884 a physician named Karl Koller demonstrated the use of cocaine for LA* Rubber gloves for medical purposes & its importance** in preventing infection and the spread of pathogene* Method for repair of inguinal hernia that had a lower mortality rate than other previous methods* The noble prize in physiology or medicine for 2007 was jointly awarded to Mario R. capecchi, Martin J. Evans J and Oliver Smithies for their discoveries of - Principles for introducing specific gene modification in mice by the use of embryonic stem cells**